A patient on antipsychotics was admitted with complaints of muscle rigidity, fever and tachycardia. Investigations showed increase in WBC counts and increase in creatinine phosphokinase levels. Drug of choice for this patient is :
1. Paracetamol + IV Fluids
2. Dantrolene
3. Neostigmine
4. Paracetamol + Penicillin

Correct answer: 2. Dantrolene

Explanation: The above symptoms suggests of "Neuroleptic malignant syndrome", a fatal side effect of antipsychotics. It is treated using Dantrolene which is a directly acting muscle relaxant that inhibits Ryanoudine receptors and prevent release of calcium from sarcoplasmic reticulum.